A 65-year-old woman is admitted with RUQ pain radiating to the right shoulder, accompanied by nausea and vomiting. Examination reveals tenderness in the RUQ and a positive Murphy's sign. A diagnosis of acute cholecystitis is made. What is the most likely finding?
1. Serum bilirubin levels may be elevated.
2. Cholelithiasis is present in 40-60%.
3. Bacteria are rarely found at operation.
4. An elevated amylase level excludes this diagnosis.

Correct answer: 1. Serum bilirubin levels may be elevated.

Explanation: Stones are found in the gallbladder in over 90% of patients with cholecystitis. Bacteria are cultured in bile in about half the patients undergoing surgery; however, many patients have previously received antibiotics. The gallbladder is usually distended in patients with acute cholecystitis but contracted in chronic cholecystitis.